About diphtheria true is -
1. Capsulated bacteria causes infection
2. Ratio of carriers and clinical cases is one
3. Gram positive and motile
4. Lysogenic phase causes disease

Correct answer: 4. Lysogenic phase causes disease